Which of the following conversion is false?
1. 1 qua=1000ml
2. 1 teaspoon=5ml
3. 1 tablespoon=15ml
4. 1minim=20 drops

Correct answer: 4. 1minim=20 drops

Explanation: 1 minim is 1 drop.These conversions are very useful while weighing or dispensing the drugs.Ref: Katzung 13th ed. pg 1110